Sixth cranial nerve palsy causes of left eye causes?
1. Accomodation paresis in left gaze
2. Ptosis of left eye
3. Adduction weakness of left eye
4. Diplopia in left gaze

Correct answer: 4. Diplopia in left gaze

Explanation: Ans. is 'd' i.e., Diplopia in left gaze o Sixth nerve supplies lateral rectus, therefore its palsy results in abduction weakness (not adduction weakness)o In left gaze, there is abduction of left eye and adduction of right eye. If there is paralysis of lateral rectus of left eye (6th nerve paralysis), abduction of left eye will not be possible in left gaze, while adduction of right eye is normal. Therefore, there will be diplopia in left gaze.